Activation of the following type of receptors present on myenteric neurons by metoclopramide is primarily responsible for the enhanced acetylcholine release and improving gastric motility:
1. Muscarine M1
2. Serotonergic 5-HT3
3. Serotonergic 5-HT4
4. Dopaminergic D2

Correct answer: 3. Serotonergic 5-HT4

Explanation: (Ref: KDT 6/e p646, 647) Gastric motility is increased by ACh. Release of this neurotransmitter is enhanced by 5HT4 receptor stimulation and 5HT3 and D2 receptor antagonism.